Internal podalic version is done
1. At 32 weeks in transverse lie
2. In transverse lie of second fetus of twin
3. When there is minimal amniotic fluid
4. All of the above

Correct answer: 2. In transverse lie of second fetus of twin

Explanation: Ans. b (In transverse lie of second fetus of twin) (Ref. Williams Obstetrics 22nd/Ch. 35, 39)# Internal podalic version is indicated in twin delivery, to convert the second twin from transverse or oblique presentation, to breech presentation.# External cephalic version is used to convert a breech into a cephalic presentation. It is indicated between 37 weeks gestation and the onset of labor.INTERNAL PODALIC VERSION (Upward pressure on head is applied as downward traction is exerted on feet)# This maneuver is used only for delivery of a second twin.# It consists of the insertion of a hand into the uterine cavity to turn the fetus manually.# The operator seizes one or both feet and draws them through the fully dilated cervix while using the other hand to transabdominally push the upper portion of the fetal body in the opposite direction.# The operation is followed by breech extraction.# With this maneuver, the fetus is turned to a breech presentation by the operator's hand placed into the uterus. The obstetrician grasps the fetal feet to then effect delivery by breech extraction. Breech extraction is considered superior to external version, because less feta1 distress developed.# Epidural analgesia is recommended.